Most common cause of renal artery stenosis in  young females .
1. Atherosclerosis
2. Fibromuscular dysplasia
3. Takayasu arteritis
4. Poly cystic kidney disease

Correct answer: 2. Fibromuscular dysplasia

Explanation: Elderly - m/c cause - Atherosclerosis.
Young females - m/c cause - Fibromuscular dysplasia.